What is angle of deviation in Infantile Esotropia
1. 10'
2. 35'
3. 20'
4. 15'

Correct answer: 2. 35'

Explanation: Convergent squint - Inward deviation of the eye and is the most common type of squint in children Convergent squint is classified into following type I. Infantile squint Age of onset is usually 2-4 months of age but occur any time in first 6 months of life Angle of deviation is usually constant and fairly large > 35' Amblyopia develop in 25-40 % cases Surgery should be done between 6 months to 2 years ( preferably before one year of age) II. Accommodative esotropia Develops around 2 - 3 years of age Associated with high hypermetropia Requires refractive correction III. Acquired non accommodative esotropia Amount of deviation is not affect by the sate of accommodation IV. Sensory esotropia Result from monocular lesions in childhood V. Consecutive esotropia - Result from surgical overcorrection of exotropia